Neonatal seizure carries best prognosis if the cause is -
1. Idiopathic
2. Hypocalcemia
3. Infection
4. Asphyxia

Correct answer: 2. Hypocalcemia

Explanation: Ans. is 'b' i.e., Hypocalcemia o Hypocalcemic seizures carry good prognosis. o Idiopathic seizures have bad prognosis.